Which of the following is bacteriostatic?
1. Isoniazid
2. Rifampicin
3. Ethambutol
4. Pyrazinamide

Correct answer: 3. Ethambutol

Explanation: Ans. C. EthambutolEthambutol is only first line antitubercular agent which is bacteriostatic. Rest all are bacteriocidal. Pyrazinamide is only drug which act on only intracellular bacteria. Rifampicin have the sterilizing effect. Isoniazid is given for prophylaxis of TB.